The beginning of the thoracic duct is known as the:
1. Intestinal lymph trunk
2. Bronchomediastinal lymph trunk
3. Jugular lymph trunk
4. Cisterna chyli

Correct answer: 4. Cisterna chyli

Explanation: The cisterna chyli, or the beginning of the thoracic duct, receives the right and left lumbar trunks. The cisterna lies on the bodies of the upper two lumbar vertebrae between the right crus of the diaphragm and the abdominal aorta and represents a dilated receptacle for the lymph gathered from the lower part of the body. Ref: Anatomy to Color and Study By Raphael Poritsky, 2nd Ed, page 58